CPITN probe is designed by:
1. WHO
2. Nabers
3. Marques
4. Williams

Correct answer: 1. WHO